Storage temperature for vaccine is-
1. - 4degC to 0degC
2. 0degC to 4degC
3. + 2degC to 8degC
4. + 4degC to 12degC

Correct answer: 3. + 2degC to 8degC

Explanation: Ans. is 'c' i.e., +2degC to 8degC o Usual temperature is + 2 to +8degC.